PNDT Act was introduced in the year:
1. 1990
2. 1994
3. 2000
4. 2002

Correct answer: 2. 1994

Explanation: Ans. 1994